Reaction to stimulus which is normally not painful is:
1. Allodynia.
2. Hypoalgesia.
3. Hypoaesthesia.
4. None.

Correct answer: 1. Allodynia.